False statement about selegeline is -
1. It is a MAO -A inhibitor
2. Does not cause cheese reaction
3. May be used in on - off phenomenon
4. It is used in parkinsonism

Correct answer: 1. It is a MAO -A inhibitor

Explanation: Ans. is 'a' i.e., It is a MAO-A inhibitor o Selegeline (deprenyl) inhibitis MAO-B o Unlike nonselective MAO inhibitors, selegiline in low doses does not interfere with peripheral metabolism of dietary amine (tyramine), accumulation and hypertensive reaction (cheese reaction) does not develop, while intracerebral degradation of dopamine is retarded. o Adminstered with levodopa, it prolongs levodopa action, attenuates motor fluctuation and decreases "wearing off' and "on of' effects.